Professional death sentence is
1. Rigorous imprisonment
2. Erasing of name from the medical register
3. Death by hanging
4. Imprisonment for life

Correct answer: 2. Erasing of name from the medical register

Explanation: Erasure of Name :- The name of the doctor is removed from the medical register: (1) After the death of the registered practitioner. (2) Entries which are made in error or as a result of fraud. (3) Penal erasure: The main cause for erasure is serious professional misconduct, and this is known as penal erasure. It is sometimes termed "the professional death sentence". It deprives the practitioner of all the privileges of a registered practitioner. Ref:- k s narayan reddy; pg num:-27